How will you differentiate a mediastinal mass being a thymoma or ALL?
1. Cytokeratin
2. CD1a
3. Cd3
4. Tdt

Correct answer: 1. Cytokeratin

Explanation: Marker specific for thymoma is Cytokeratin Other markers for thymoma include : P 63, PAXp-8 . Most sensitive and specific marker for thymoma is FOXN 1 Markers common for both thymoma and T-ALL include: CD1a CD3 TDt Marker specific for thymoma is Cytokeratin Other markers for thymoma include : P 63, PAXp-8 . Most sensitive and specific marker for thymoma is FOXN 1 FOXN1 > >CD 205